Pouches are lined by which germ layer?
1. Endoderm
2. Ectoderm
3. Mesoderm
4. Both Mesoderm and Ectoderm

Correct answer: 1. Endoderm

Explanation: Pouches inside are lined by Endoderm Clefts outside are lined by Ectoderm